Sociology –
1. Study of human relationship
2. Study of behavior
3. Both
4. None

Correct answer: 3. Both

Explanation: Sociology deals with the study of human relationships and of human behavior.